Incase of uncontrolled epistaxis,ligation of internal maxillary artery is to be done in the
1. maxillary antrum
2. Pterygopalayine fossa
3. At the neck
4. Medual wall of orbit

Correct answer: 2. Pterygopalayine fossa

Explanation: Maxillary artery: Ligation of this artery is done in uncontrollable posterior epistaxis. Approach is Caldwell-Luc operation through pterygopalatine fossa Posterior wall of maxillary sinus is removed and the maxillary artery or its branches are blocked by applying clips. The procedure is now superceded by transnasal endoscopic sphenopalatine artery ligation. Ref: Dhingra 7e pg 201,469.